Butterfly rash is typically seen in:
1. Herpes simplex
2. Systemic lupus erythematosus
3. Scleroderma
4. None of the above

Correct answer: 2. Systemic lupus erythematosus

Explanation: The cutaneous lesions of SLE consist of erythematous patches on the face that coalesce to form a roughly symmetrical pattern over the cheeks and across the bridge of the nose in form of 'Butterfly' distribution. When SLE involve the kidney, the glomerular capillaries shows fibrinoid thickening and produces characteristic 'wire loops', which may be sufficient to result in renal insufficiency.